SMAC/DIABLO is a
1. Anti apoptotic protein
2. Induces necrosis
3. Acts both as anti and pro apoptotic protein
4. Pro-apoptotic protein

Correct answer: 4. Pro-apoptotic protein

Explanation: Diablo homolog (DIABLO) is a mitochondrial proteinthat in humans is encoded by the DIABLO (direct IAPbinding protein with low pI) gene on chromosome 12. DIABLO is also referred to as second mitochondria-derived activator of caspases or SMAC. This protein binds inhibitor of apoptosis proteins (IAPs), thus freeing caspases to activate apoptosis. Due to its proapoptotic function, ref Robbins 9/e p 19, and internet